The ideal temperature of water to cool the burnt surface is -
1. 15°
2. 10°
3. 8°
4. 6°

Correct answer: 1. 15°